Commonest intraocular tumour in children is:
1. Retinoblastoma
2. Malignant melanoma
3. Teratoma
4. Neuroblastoma

Correct answer: 1. Retinoblastoma

Explanation: Retinoblastoma